whice of the following are the The lymphatic drainage of fundus and upper part of uterus ?
1. pre and para aortic lymph nodes
2. external iliac lymph nodes
3. superficial inguinal lymph nodes
4. deep inguinal lymph nodes

Correct answer: 1. pre and para aortic lymph nodes

Explanation: Lymphatic Drainage of uterus - Lymphatics of the uterus begin at three intercommunicating networks, endometrial, myometrial and subperitoneal. These plexuses drain into lymphatics on the side of the uterus. Of these, the upper lymphatics from the fundus and upper part of the body drain mainly into the aortic nodes, and only partly to the superficial inguinal nodes along the round ligament of the uterus. The lower lymphatics from the cervix drain into the external iliac, internal iliac and sacral nodes. The middle lymphatics from the lower part of body drain into the external iliac nodes. Ref : B D Chaurasia's Human Anatomy , seventh edition , volume 2 , pg. no., 422.